Pain-sensitive intracranial structure is:
1. Piamater
2. Pial vassels
3. Duramater
4. Brain matter

Correct answer: 3. Duramater

Explanation: C i.e.Duramater